Blood supply of thoracic part of esophagus -
1. Aorta
2. Inferior thyroidartery
3. Gastric artery
4. Superior thyroid artery

Correct answer: 1. Aorta

Explanation: Ans. is 'a' i.e., Aorta Part of esophagusBlood supplyCervicalInferior thyroid arteryThoracicEsophageal branches of aortaAbdominalLeft gastric artery